Hilton's method of incision and drainage of abscess has the advantage of
1. Complete drainage of pus
2. Avoids injury to underlying vessels and nerves
3. Heals without scar
4. Provides irrigation

Correct answer: 2. Avoids injury to underlying vessels and nerves

Explanation: Hilton's method of incision and drainage of abscess is used in neck, axilla and axilla. It avoids injury to underlying vessels and nerves.